Hand and foot syndrome is an adverse effect of
1. 5-Flurouracil
2. Bleomycin
3. Etoposide
4. Actinomycin-D

Correct answer: 1. 5-Flurouracil

Explanation: Ref-Katzung 11/e p947 Capecitabine and 5-FU can cause hand and foot syndrome